Transcription refers to
1. the process where an mRNA is used as a template for protein production.
2. the process where a DNA sequence is copied into RNA for the purpose of gene expression.
3. the process where DNA wraps around histones to form a nucleosome.
4. the process of replication of DNA prior to cell division.

Correct answer: 2. the process where a DNA sequence is copied into RNA for the purpose of gene expression.